Perel Pontic is
1. Ovate
2. Conical
3. Hygienic
4. Modified sanitary

Correct answer: 4. Modified sanitary